The most common pre-malignant condition of oral carcinoma is:
1. Leukoplakia
2. Erythroplakia
3. Lichen planus
4. Submucous Fibrosis

Correct answer: 1. Leukoplakia

Explanation: (a) Leukoplakia(Ref. Cummings, 6th ed., 1299)All the other choices also are pre-malignant but leukoplakia is the most common premalignant condition.